All are TRUE about hyperparathyroidism, Except:
1. Commonly occurs after thyroidectomy
2. May cause hypercalcemia
3. Solitary adenoma is the most common cause
4. None of the above

Correct answer: 1. Commonly occurs after thyroidectomy

Explanation: Answer is A (Commonly occurs after thyroidectomy): Thyroidectomy may lead to hypoparathyroidism and not hyperparathyroidism due to inadvertent removal of the parathyroid glands.